Red or brown discoloration of teeth is seen in
1. Porphyra
2. Internal resorption
3. Nasmynth membrane
4. Silver

Correct answer: 1. Porphyra